Artificial bruises are produced by:
1. Capsicum
2. Marking nut
3. Croton
4. Rati

Correct answer: 2. Marking nut

Explanation: Ans. Marking nut